Nicoladini's Branham sign is seen in
1. Aortic dissection
2. Buerger's disease
3. Aneurysm
4. AV - Fistula

Correct answer: 4. AV - Fistula

Explanation: Nicoladini's Branham sign is seen in arteriovenous fistula, wherein compression proximal to AV - fistula results in bradycardia.